Structure (s) pierce in Lumber spinal puncture is/are – a) Ligamentum flavumb) Duramaterc) Supraspinous ligamentd) Anterior longitudinal ligamente) Posterior longitudinal ligament
1. abc
2. bc
3. acd
4. bcd

Correct answer: 1. abc

Explanation: Structure pierced during SA (from outside in) are :- Skin → subcutaneous tissue → Supraspinous & interspinous ligament → Ligament flavum → Duramatter → Arachnoid matter.